Gottron's papules/ spots are pathognomic of:
1. Myasthenia gravis
2. Dermatomyostis
3. Dermatitis herpetiformis
4. Atopic dermatitis

Correct answer: 2. Dermatomyostis

Explanation: Ans. B i.e. Dermatomyositis